Bell stage for deciduous teeth; bud stage for permanent teeth, seen at:
1. 32 weeks.
2. 18 weeks.
3. 14 weeks.
4. 55 -56 days.

Correct answer: 3. 14 weeks.

Explanation: Time Line of Human Tooth Development